Which of the following statements is false regarding DNA Polymerases
1. All three DNA Polymerase have proof reading activity
2. Leading strand is synthesized by DNA poly III
3. All three DNA Polymerases have repair activity
4. Okazaki fragments are synthesized by DNA poly III

Correct answer: 3. All three DNA Polymerases have repair activity

Explanation: DNA polymerase III doesn't have repair activitly. 
It can synthesize leading strand as well as Okazaki fragments.
All three DNA polymerases have Proof reading ability.